Most common hallucination in schizophrenia is -
1. Auditory
2. Visual
3. Olfactory
4. Tactile

Correct answer: 1. Auditory

Explanation: Auditory hallucinations are most common type of hallucinations in schizophrenia.